Increased formation of ketone bodies during fasting is a result of:
1. Decreased level of circulating glucagon
2. Decreased formation of Acetyl CoA in the liver
3. Increased levels of free fatty acids in blood
4. Inhibition of b-oxidation of fatty acids in liver

Correct answer: 3. Increased levels of free fatty acids in blood

Explanation: Free fatty acids bound to albumin are increased as a result of an increased activity of Hormone sensitive lipase in adipose tissue as this enzyme breaks TG into glycerol & fatty acids. These fatty acids are taken up by liver. b-oxidation of these fatty acids in liver provides the acetyl CoA for ketogenesis. Hepatic ketogenesis is also stimulated by elevated levels of glucagon during fasting.